First investigation of choice for spinal cord tumor:
1. Myelography
2. CT
3. MRI
4. Plain X-ray

Correct answer: 3. MRI

Explanation: Ans. MRI